Who among the following used carbolic acid initially as an antiseptic for surgery and is known as the "Father of antiseptic surgery"?
1. Robert Koch
2. Edward Jenner
3. Louis Pasteur
4. Joseph Lister

Correct answer: 4. Joseph Lister

Explanation: Joseph Lister: He is considered to be the father of antiseptic surgery. He used carbolic acid during surgery.